Creatine is made up of all, except
1. Glycine
2. Alanine
3. Methionine
4. Arginine

Correct answer: 2. Alanine

Explanation: Three amino acids are required in the biosynthesis of creatine. They are: (i) Glycine (ii) Arginine and (iii) Methionine Substrates to start synthesis are Glycine and Arginine. Site: Site of synthesis * In kidney * In liverRef: Textbook of medical biochemistry, MN Chatterji, 8th edition, page no: 524